Long depression or valley between ridges and cusps, the inclines of which meet at an angle is known as:
1. Sulcus.
2. Groove.
3. Lobe.
4. Fossa.

Correct answer: 1. Sulcus.